One oogonium gives how many ovum
1. 1
2. 2
3. 3
4. 4

Correct answer: 1. 1

Explanation: A primordial oocyte during fetal development; it is derived from a primordial germ cell and before birth becomes aprimary oocyte.no oogonia are present after birth.Ref: Ganong's review of medical physiology; 24th edition; page no: 401